Magenstrasse refers to -
1. Signs of magnesium poisoning
2. Marks of violence in case of poisoning
3. Route of acidic poisons in stomach
4. None of the above

Correct answer: 3. Route of acidic poisons in stomach

Explanation: magenstrasse- a groove in the stomach along the lesser curvature that is the route food and liquids tend to take in moving toward the pylorus and that is a frequent site of peptic ulcer formation Ref: Taber's Medical dictionary.